The vitamin synthesized by bacteria in the intestine is:
1. Vitamin K
2. Vitamin B1
3. Vitamin D
4. Vitamin B3

Correct answer: 1. Vitamin K

Explanation: Vitamins that are synthesized by intestinal flora are Vitamin B2, B5, B7 & Vitamin K. ADDITIONAL EDGE: Vitamin B3 and Vitamin D are two vitamins that are synthesized by human body. So these are called Atypical Vitamins. These vitamins are synthesized by human enzymes during metabolism, not by intestinal bacterial enzymes. Vitamin B3 is synthesized from Tryptophan Vitamin D is synthesized from 7-Dehydro Cholesterol by UV light in skin.